"Black dot" ring worm is caused by
1. Microsporum
2. Epidermophyton
3. Candida
4. Trichophyton

Correct answer: 4. Trichophyton

Explanation: In endothrix, a Trichophyton infection, the hair shaft breaks off at the skin surface, leaving the hairs visible as black dots in the scalp.